In a population to prevent coronary artery disease changing harmful lifestyles by education is referred to as:
1. High risk strategy
2. Primary prevention
3. Secondary prevention
4. Tertiary prevention

Correct answer: 2. Primary prevention

Explanation: Ans. (b) Primary preventionLEVELS OF PREVENTION:* Primordial Level of Prevention: Is primary prevention (see below) in purest sense- It is the prevention of the emergence or development of risk factors in countries or population groups in which they have not yet appeared- Modes of Intervention:1. Individual Education2. Mass Education- Primordial Level is Best level of prevention for Non-communicable diseases* Primary Level of Prevention:- It is the action taken prior to onset of disease, which removes the possibility that a disease will ever occur- Modes of Intervention:1. Health Promotion: Is targeted at strengthening the host through a variety of approaches/interventions, e.g. Health Education, Environmental modifications, Nutritional interventions, Lifestyle and behavioral changes2. Specific Protection: Is targeting the prevention of disease through a specific intervention- Primary level of prevention is applied when 'risk factors are present, but disease has not yet taken place'- It signifies 'intervention in the Pre-pathogenesis Phase of a disease/ health problem'* Secondary Level of Prevention:- It halts the progress of disease at its' incipient stage and prevents complications- Modes of Intervention:1. Early Diagnosis: Detection of disturbances while biochemical, functional and morphological changes are still reversible or prior to occurrence of manifest signs and symptoms2. Treatment: Shortens period of communicability, reduces mortality and prevents occurrence of further cases (secondary cases) or any long-term disability- Secondary level of prevention is applied when disease has possibly set in: It attempts to arrest the disease process, seek unrecognized disease and treat it before irreversibility and reverse communicability of infectious diseases- National Health Programs by Govt, of India mostly operate at Secondary level of prevention- Secondary prevention is an imperfect tool in control of transmission of disease: It is more expensive and less effective than primary prevention- It is an important level of prevention for diseases like Tuberculosis, Leprosy and STDs* Tertiary Level of Prevention:- Is applied when disease has advanced beyond early stages: It aims to reduce or limit impairments and disabilities, minimize suffering caused by existing departures from good health- Modes of Intervention:1. Disability Limitation: It 'prevents the transition of disease from impairment to handicap'2. Rehabilitation: Training and retraining of an individual to the highest possible level of functional ability; It can be medical, vocational, social or psychological- Tertiary level of prevention signifies 'intervention in late pathogenesis phase'ALSO REMEMBER* All Vaccines (including Anti-rabies vaccine): Specific Protection mode of intervention, Primary Level of prevention* Screening is predominantly Secondary Level of Prevention with some component of Primary Prevention also